A patient was admitted to the emergency department due to alcohol intoxication. 12 Hours after admission the patient began to show agitation and seizure like activities . The drug used In treatment acts by:
1. Facilitate GABA by increasing frequency of chloride channel opening
2. Facilitate GABA action by increasing duration of chloride channel opening
3. 5HT antagonist
4. 5HT agonist

Correct answer: 1. Facilitate GABA by increasing frequency of chloride channel opening

Explanation: * The clinical scenario describes alcohol withdrawal symptoms. Treatment for alcohol withdrawal is benzodiazepine. Benzodiazepine works by increasing frequency of chloride channel opening.* Barbiturates work by increasing duration of chloride channel opening* 5HT antagonist are Serotonin inhibitors. Atypical anti-depressants work by inhibiting 5HT receptors* 5HT agonist are serotonin receptors stimulators. They are used in treatment of Migraine and anxiety